Compulsive hair pulling that produces bald spots is called:
1. Trichotillomania
2. Kleptomania
3. Pyromania
4. Diposomania

Correct answer: 1. Trichotillomania

Explanation: Ans. Trichotillomania